Which one of the following structures is part of the diencephalon?
1. Caudate nucleus
2. Cerebral hemispheres
3. Hippocampus
4. Thalamus

Correct answer: 4. Thalamus

Explanation: Diencephalon consist of:- Thalamus Hypothalamus Meta-thalamus-include medial and lateral geniculate body Epi-thalamus-include Pineal body, Habenular trigone and post. commisure Sub-thalamus